Drug of choice in drug induced Parkinsonism is ?
1. Levodopa
2. Carbidopa
3. Amantadine
4. Benzhexol

Correct answer: 4. Benzhexol

Explanation: Ans. is 'd' i.e., Benzhexol